Which develops from mandibular arch
1. Stapes
2. Incus
3. Styloid process
4. Hyoid bone

Correct answer: 2. Incus

Explanation: Incus develop from first arch.